The primary direct stimulus for excitation of central chemoreceptors regulating ventilation is
1. Increased H+
2. Increased CO2
3. Increased O2
4. Decreased CO2

Correct answer: 1. Increased H+

Explanation: The main chemoreceptors involved in respiratory feedback are: Central chemoreceptors: These are located on the ventrolateral surface of medulla oblongata and detect changes in the pH of spinal fluid. Ref: guyton and hall textbook of medical physiology 12 edition page number:371,372,373